All are effects of sympathetic stimulation, EXCEPT
1. Increased conduction velocity
2. Increased heart rate
3. Increased refractory period
4. Increased contractility of heart

Correct answer: 3. Increased refractory period

Explanation: When sympathetic system is activated, the refractory period is decreased.